Betamethasone in pregnancy is given to prevent
1. Prematurity
2. Neonatal convulsions
3. Cerebral palsy
4. Respiratory distress syndrome

Correct answer: 4. Respiratory distress syndrome

Explanation: Respiratory distress syndrome can be prevented by administration of Betamethasone to the mother two doses IM 24hrs apart given before 34 weeks Ref: Dutta Obs 9e pg 444.